McCune Albright syndrome is characterised by all except
1. Cafe au lait skin spots
2. Polyostotic fibrous dysplasia
3. Delayed puberty
4. Mutated α - subunit of G-protein

Correct answer: 3. Delayed puberty

Explanation: McCune Albright syndrome → causes precocious puberty.
Mc-cune Albright syndrome :

GS alpha mutation
Precocious puberty
Cafe u lait spots
Short 4th metacarpal
Kukcle knuckle dimple knuckle sign